Which of the following type of PRR requires local anesthesia and liner?
1. Type A
2. Type B
3. Type C
4. All of the above

Correct answer: 3. Type C

Explanation: TYPES OF PRR
Based on the extent and depth of the carious lesions:
a) Type A - Suspicious pits and fissures where caries removal is limited to enamel.
b) Type B - Incipient lesion in dentin that is small and confined.
c) Type C - Characterized by the need for greater expIoratory preparation in dentin.
Key concept
Type C

Greater exploratory preparation of dentin. 
Requires LA.
Requires placement of a liner like calcium hydroxide or GIC over the exposed dentin.